Which of the following germ cell tumor is malignant ?
1. Leydig cell tumor
2. Sertoli cell tumor
3. Seminoma
4. Dermoid cyst

Correct answer: 3. Seminoma

Explanation: Ans. is 'c' i.e., Seminoma o Among the given options only options c & d are germ cell tumors. Seminoma is malignant while dermoid cyst is benign.Germ cell tumorso Malignant - Germinoma (seminoma, dysgerminoma), embryonal carcinoma, endodermal sinus tumor (yolk sac tumor), choriocarcinoma, immature teratoma.Benign - Mature teratoma, dermoid cyst.